Receptor mediated endocytosis requires:
1. Clatharin
2. Dynamin
3. Actin
4. All of the above

Correct answer: 4. All of the above

Explanation: Clathrin-mediated endocytosis occurs at membrane indentations where the protein clathrin accumulates. Clathrin molecules have the shape of triskelions, with three "legs" radiating from a central hub. At the neck of the vesicle, the GTP-binding protein dynamin is involved, either directly or indirectly, in pinching off the vesicle. Contractile filaments of actin and myosin are also involved.